Root value ofsciatic nerve
1. SIS2S3
2. L4L5SlS2S3
3. L2L3L4
4. L1L2L3

Correct answer: 2. L4L5SlS2S3

Explanation: Ans. B.L4L5SlS2S3Root value of sciatic nerve is L4L5S1 S2S3